Which of the following is not a contraindication for use of digitalis -
1. Acute rheumatic carditis
2. Thyrotoxicosis
3. WPW syndrome
4. Hyperkalemia

Correct answer: 4. Hyperkalemia

Explanation: Ans. is 'd' i.e., Hyperkalemia Precaution should be taken in following conditions (enhance digitalis toxicity), o Hypokalemia o Advanced age o Myxoedema o Hypomagnesemia o Hypoxia o Thyrotoxicosis o Hypercalcemia o Renal insufficiency o Acute MI o Acute myocarditis (as in rheumatic carditis) Note: o Option a & b are not contraindications. But, they enhance digitalis toxicity, so may be considered as relative contraindications.